Halitosis is measured with:
1. Periotran
2. Osmoscope
3. Periodontometer
4. None of the above

Correct answer: 2. Osmoscope